Patient with nasopharyngeal carcinoma can present with the following except ?
1. Homer's syndrome
2. Epistaxis and proptosis
3. Trismus
4. Sensineuronal hearing loss

Correct answer: 4. Sensineuronal hearing loss

Explanation: Ans. is 'd' i.e., Sensineuronal hearing loss